Nitroblue tetrazolium test is used for?
1. Phagocytes
2. Complement
3. T cell
4. B cell

Correct answer: 1. Phagocytes

Explanation: Ans. (a) Phagocytes(Ref Robbins 9th/pg 238; 8th/pg 55)DiagnosisNitroblue-tetrazolium (NBT) test: Most widely known test for chronic granulomatous disease.#Depends upon direct reduction of NBT in phagocytes by superoxide free radical to form an insoluble formazan Q#This test tells whether or not PHOX enzymes are present, not how much they are affected Q